Sistrunk's operation consists of
1. Excision of hyoid bone and cone of tongue muscle
2. Excision of hyoid bone and the cyst
3. Excision of central part of hyoid bone and cone of tongue muscle upto foreman caecum
4. Excision of cyst only

Correct answer: 3. Excision of central part of hyoid bone and cone of tongue muscle upto foreman caecum

Explanation: Sistrunk operation include excision of the whole thyroglossal tract, which involves removal of the body of the hyoid bone and the suprahyoid tract through the tongue base to the vallecula at the site of the primitive foramen caecum, together with a core of tissue on either side. Bailey and Love 26th edition Pg : 702